A previously healthy 45-year-old woman has been unable to close her left eye since awakening that morning.Which of the following cranial nerves is most likely to be affected?
1. 3
2. 4
3. 6
4. 7

Correct answer: 4. 7

Explanation: Closure of the eye is related to ORBICULARIS OCCULI *In the question 7th cranial nerve is affected so orbiculurus occuli is also affected *Therefore the patient is unable to close her eye